Which of the following protozoa can affect eye?
1. E. histolytica
2. Toxoplasmosis
3. G. lambiia
4. E. coli

Correct answer: 2. Toxoplasmosis

Explanation: Ans. b. Toxoplasmosis (Ref: Harrison 19/e p40e-6f, 1400, 1402, 1404, 18/e p229, 1724, 1726)In Toxoplasmosis, granulomatous lesions and chorioretinitis can be observed in posterior chamber after acute necrotizing retinitis. Other ocular complications include iridocyclitis, cataract, glaucoma.E. histolytica, G. lamblia and E. coli does not affect eye.Toxoplasmosis: Ocular ManifestationsIn eye, infiltrates of monocytes, lymphocytes and plasma cells may produce uni- or multifocal lesionsGranulomatous lesions and chorioretinitis can be observed in posterior chamber after acute necrotizing retinitisOther ocular complications include iridocyclitis, cataract, glaucoma